Energy source used by brain in later days of Starvation is
1. Glucose
2. Ketone bodies
3. Glycogen
4. Fatty acids

Correct answer: 2. Ketone bodies

Explanation: B i.e. Ketone bodies REF: Lippincott book of biochemistry 6th ed.